Which statement is TRUE about Standard normal distribution curve :
1. Mean -1, standard deviation - zero
2. Standard deviation 1, mean-zero
3. Curve skews towards left
4. Curve skews towards right

Correct answer: 2. Standard deviation 1, mean-zero

Explanation: Ans. is 'b' ie Standard deviation = 1 & mean is 0 Standard Normal Curve*is based on infinitely large no of observationsit is smooth, bell shaped, perfectly symmetrical curve, it does not skew either to the right or left side.the total area of the curve is 1*Mean is O, *Standard deviation is 1*Mean, median, mode all coincide*